Transferofan amino group from an amino acid to an alpha ketoacid is done by:
1. Transaminases
2. Aminases
3. Transketolases
4. Deaminases

Correct answer: 1. Transaminases

Explanation: A. TransaminasesKey pointsTransaminationInterconvert pair of a amino acids and a Ketoacid.#Ketoacid formed by transamination from Alanine is Pyruvate#Ketoacid formed by transamination from Aspartate is Oxaloacetate.#Ketoacid formed by transamination from Glutamate is a Keto GlutarateFreely reversible.Transamination concentrate a amino group of nitrogen as L-Glutamate.L-Glutamate is the only enzyme that undergo significant amount of oxidative deamination in mammals.Takes place via ping pong mechanism.Takes an important role in biosynthesis of nutritionally nonessential amino acids.Specific for one pair of substrate but nonspecific for other pair of substrates.Pyridoxal Phosphate is the coenzyme